A 24-year-old woman delivers a 3.5-kg baby and begins breastfeeding her infant. The patient presents 2 weeks later with a fever of 38degC (101degF). Physical examination shows no abnormal vaginal discharge or evidence of pelvic pain but does reveal redness on the lower side of the left breast. The patient stops nursing the infant temporarily, but the symptoms persist, and the entire breast becomes swollen and painful. What is the most likely diagnosis?
1. Acute mastitis
2. Chronic mastitis
3. Duct ectasia
4. Granulomatous mastitis

Correct answer: 1. Acute mastitis

Explanation: Acute mastitis is a bacterial infection of the breast. It may be seen at any age, but by far the most frequent setting is in the postpartum lactating or involuting breast. This disorder is usually secondary to obstruction of the duct system by inspissated secretions. The other choices are not typically associated with fever.Diagnosis: Acute mastitis